In conductive deafness of right ear, Weber's test will show?
1. Lateralised to right side
2. Lateralised to left side
3. Normal
4. Centralised

Correct answer: 1. Lateralised to right side

Explanation: In middle ear pathology usually there is conductive deafness. With a unilateral conductive hearing loss, the tone is perceived in the affected ear. With a unilateral sensorineural hearing loss, the tone is perceived in the unaffected ear.